Risk factor for suicide is?
1. Increased serotonin
2. Drug abuse
3. Female sex
4. Married person

Correct answer: 2. Drug abuse

Explanation: Ans. is 'b' i.e., Drug abuse Causes/Risk factors for suicideA. Psychiatric disorders: - Depression (most common), alcoholism (2nd me), Drug/Substance dependence, Schizophrenia, Dementia.B. Physical illness: - Cancer, AIDS, Multiple sclerosis, Head trauma.C. Psychosocial factors: - Failure in love, marital difficulties, family dispute, illegitimate pregnancy.D. Biological factors: - Decrease in serotoninE. Other - Male sex, Age > 40 years, Single (Unmarried, divorced or widowed), previous suicide attempt, social isolation.